Which of the following inducing agent produces cardiac stability?
1. Etomidate
2. Ketamine
3. Halothane
4. Thiopentone

Correct answer: 1. Etomidate

Explanation: Etomidate 
It is another induction anaesthetic (0.2- 0.5 mg/kg) which has a briefer duration of action  (4-8 min).
than thiopentone; produces little cardiovascular and respiratory depression, but motor restlessness and rigidity is more prominent as are pain on injection or nausea and vomiting on recovery. It is a poor analgesic and has not found much favour ,except for patients with compromised cardiovascular status. 
Reference: Essentials of Medical Pharmacology Eighth Edition KD  TRIPATHI  page no 410